X-linked disease leading to intellectual disability is :
1. Myotonic dystrophy
2. Fragile-X syndrome
3. Tuberous sclerosis
4. Phenylketonuria

Correct answer: 2. Fragile-X syndrome

Explanation: B i.e. Fragile - x - Syndrome